Which intervention do you plan to include with a patient who has renal calculi?
1. Maintain bed rest
2. Increase dietary purines
3. Restrict fluids
4. Strain all urine

Correct answer: 4. Strain all urine

Explanation: All urine should be strained through gauze or a urine strainer to catch stones that are passed. The stones are then analyzed for composition.

Option A: Ambulation may help the movement of the stone down the urinary tract.
Option C: Encourage fluid to help flush the stones out.